Bell's palsy is paralysis of -
1. UMN V nerve
2. UMN VII nerve
3. LMN V nerve
4. LMN VII nerve

Correct answer: 4. LMN VII nerve

Explanation: Bell's palsy is a LMN type of unilateral facial nerve palsy.